"Persna" is a method of -
1. Natural contraceptive
2. Hormonal contraceptive
3. Barrier contraceptive
4. IUCD

Correct answer: 1. Natural contraceptive

Explanation: Ans. is 'a' i.e., Natural contraceptive PERSNA o Natural family planning enters the age of technology. This is basically a microcomputer attached to a micro laboratory. It is based on measurement of levels of leutenizing hormone and oestrogen - 3 - glucuronide (E2G) in early moring urine. The woman is required to insert test sticks dipped in her urine The device then calculates the likely date of ovulation well in advance and allows for sperm survival. She is thus shown green light days when conception is unlikely and 'red light' days when conception may well occur o With perfect use failure rates are in the region of 6/100 woman years. o However more typical user failure rates are much higher. Persna has advantage for couples who wish to use natural family planning in that it takes away much of the subjectvity of the symptothermal method and its greater predictive accuracy results in fewer abstinence days (8 on average, compared to 12) however the best use failure rate is still high compared to other methods and it should therefore, be viewed as most suitable for couples spacing rather then preventing a pregnancy.